Pulse proteins are deficient in -
1. Methionine
2. Lysine
3. Threonine
4. All

Correct answer: 1. Methionine

Explanation: -pulse protein is deficient in methionine. - these are known as limiting aminoacid. - when two or more of vegetarian foods are eaten together, their protein supplement one another. Reference : Park's textbook of preventive and social medicine, 23rd edition, pg no:610